A herpetologist is bitten by a poisonous snake and is taken to the emergency department with progressive muscle paralysis. The venom is probably incapacitating his
1. Na+ channels
2. Ca2+ channels
3. Phospholipids
4. Acetylcholine receptors.

Correct answer: 4. Acetylcholine receptors.

Explanation: Snake venom usually blocks acetylcholine receptors, preventing depolarization of the muscle cell. The Na+ and Ca2+ channels are not incapacitated by snake venoms